Which is non lymphatic filarisis-
1. Loa loa
2. Wucheria bancrofti
3. Brugia malai
4. Brugia timori

Correct answer: 1. Loa loa

Explanation: Ans. is 'a1 i.e.,, Loa-Loa I Lymphatic filariasisII. Subcutaneous filariasisIII. Serous cavity filariasiso W. bancroftio B. malayio B. timorio Loa - Loao Onchocerca volvuluso Mansonelia streptocercao M. ozzardio M. perstans